Sample Registration System, True is:-
1. It is the only dual record data collection system
2. It has completed 4 rounds
3. Once undertaken every 5 - 6 years
4. It mandates birth, death and marriage registration

Correct answer: 1. It is the only dual record data collection system

Explanation: Sample Registration System;- SRS most accurate as it is the only dual record data collection system. Here we measure IMR, MMR, U-5MR, NMR, Growth rate It is conducted once every 6 months. NFHS :- Conducted by IIPS, Mumbai It has completed 4 rounds Once undertaken every 5 - 6 years DLHS :- This is used for MCH indicators Focuses routine assessment of regular immunization coverage levels district wise in India Undertaken once every 4-5 years Round completed -4 rounds.